Submucosal fibroid is detected by :
1. Hysteroscopy
2. Hysterosalpingography
3. USG (Transabdominal)
4. All

Correct answer: 4. All

Explanation: Ans. is a, b and c i.e. Hysteroscopy; Hysterosalpingography; and USG (Transabdominal) USG * Ultrasound is the main diagnostic tool in case of fibroid.deg It checks the numberdeg, locationdeg and sizedeg of fibroids and helps to reduce overlooking small fibroids during surgery (which might lead to persistence or recurrence of symptoms). USG findings in case of Fibroid Enlarged and distorted uterine contour Depending on connective tissue amount -- fibroid may have varying echogenecity (hypoechoic or hyperechoic. Vascularisation is seen at periphery. Hysteroscopy or hysterosalpingography : These methods are useful to detect submucous fibroid in unexplained infertility and repeated pregnancy wastage. The presence and site of submucous fibroid can be diagnosed by direct visualization during hysteroscopy or indirectly as a filling defect on HSG. Hysteroscopy also allows its excision under direct vision. Uterine Curettage : It can also help in diagnosis of submucous fibroid by feeling of a bump during curettage.deg Laparoscopy : is helpful if uterine size is less than 12 weeks, for detection of a subserous fibroid. It can also differentiate a pedunculated fibroid from an ovarian tumour not revealed by clinical examination and ultrasound. Investigation which can be done is MRI.deg Role of Doppler in diagnosis of Fibroid : Leiomyomas have characteristic vascular patterns which can be identified by color flow doppler. A peripheral rim of vascularity from which a few vessels arise and penetrate into the centre is seen. Doppler imaging can be used to differentiate an extrauterine leiomyoma from other pelvic masses or a submucous leiomyoma from an endometrial polyp or adenomyosis. Also know : Best investigation for submucous fibroid - Hysteroscopydeg Best investigation to detect fibroid (in general)deg -- USG (Pt choicer -- MRI (2f'd choicer